Which of the following poison causes cherry-red -color postmortem staining?
1. Carbon monoxide
2. Aniline
3. Phosphorus
4. Nitrites

Correct answer: 1. Carbon monoxide

Explanation: A cherry-red colouration of the skin, mucous membranes, conjunctiva, nail beds, areas of hypostasis, blood, tissues and internal organs is seen in carbon monoxide (CO) poisoning. It is associated with 30-40% COHb. Ref: The Essentials of Forensic Medicine and Toxicology by Narayan Reddy, 27th edition, Page 555.